A woman takes very low dose combined oral contraceptive pills. After how many days of continuously missing to take pills minimum, there is failure of contraceptive method.
1. One missed pill
2. Two missed pill
3. Three missed pill
4. Four missed pill

Correct answer: 2. Two missed pill

Explanation: Combined OCPs :- - Contain low doses of estrogen & progesteron. - They contain 0.15 mg of Levo-norgesterol and 0.03 mg of ethinyl estradiol. - With very low dose pills containing 20 mcg of less estrogen, the failure will happen after 2 or more missed pills.